Mitral valve vegetations donot usually embolize to:
1. Brain
2. Liver
3. Spleen
4. Lung

Correct answer: 4. Lung

Explanation: Mitral valve vegetations are associated with systemic embolization which can effect brain ,liver,spleen and kidney. Embolization of the lung is associated with right heart involvement. (ref Robbins 9/e p561,8/e p566)